Most common orthopaedic manifestation of Neurofibromatosis is:
1. Scoliosis
2. Sphenoid dysplasia
3. Pseudoarthrosis of tibia and thinning of cortex of long bones
4. Atlanto- axial instability

Correct answer: 1. Scoliosis

Explanation: Ref: 1. http://www.orthobullets.com/pediatrics/40547 neurofibromatosis 2. Campbells Operative Orthopaedics by S. Terry Canale & James H. Beaty - section on unusual causes of scoliosis - NeurofibromatosisExplanation:Orthopedic manifestations in NeurofibromatosisScoliosis is the most common osseous defect associated with Neurofibromatosis.The spinal deformities of Neurofibromatosis are of two basic forms:NondvstrophicDystrophic.Non-dystrophic deformities mimic idiopathic scoliosis.Dystrophic scoliosis, characteristically is a short-segment, sharply angulated curve with severe wedging of the vertebral bodies, severe rotation of the vertebrae, scalloping of the vertebral bodies, spindling of the transverse processes, foraminal enlargement, and rotation of the ribs 90 degrees in the antero-posterior direction that makes them appear abnormally thin.Cervical spine also shows abnormalities which include atlanto-axial instability.A distinctive osseous lesion such as sphenoid dysplasia is also found.Thinning of cortex of long bones with or without pseudoarthrosis commonly seen in tibia is another feature.